Gender specific adverse effect of valproate is
1. Weight gain
2. Tremors
3. Alopecia
4. Polycystic ovarian disease

Correct answer: 4. Polycystic ovarian disease

Explanation: Long term use of valproate in young girl is associated with higher incidence of polycystic ovarian disease and menstrual irregularities. REf KD Tripathi 8th ed.